If a mother has had measles, her newborn baby is immune to this disease for -
1. 4 to 6 month
2. 6 to 12 months
3. 1 to 3 years
4. 3 to 6 years

Correct answer: 1. 4 to 6 month

Explanation: Infants are protected from measles by maternal antibodies up to 6 months pf age. Ref: PARK'S TEXTBOOK OF PREVENTIVE AND SOCIAL MEDICINE 23rd edition pg 147